Unlocking of knee is done by which muscle:
1. Adductor magnus
2. Biceps femoris
3. Popliteus
4. Sartorius

Correct answer: 3. Popliteus

Explanation: Ans. C: PopliteusPopliteus muscleOrigin: Lateral surface of lateral condyle of femurInsertion: Posterior surface of shaft of tibia above soleal lineNerve supply: Tibial nerve L4, 5; S1Action: Flexes leg at knee joint; unlocks knee joint by lateral rotation of femur on tibia and slackens ligaments of joint